Surest sign of salpingitis is :
1. Edema of tubes
2. Enlargement of tubes
3. Seropurulent discharge from the fimbria/ part of the tube
4. Hyperaemic tubes

Correct answer: 3. Seropurulent discharge from the fimbria/ part of the tube

Explanation: Seropurulent discharge from the fimbria/ part of the tube